Anticoagulant not used in vitro is :
1. Heparin
2. Warfarin
3. Oxalate
4. Citrate

Correct answer: 2. Warfarin